Which doesn't have a role in acute attack of asthma?
1. Cromolyn sodium
2. Ipratropium
3. Steroids
4. Salbutamol

Correct answer: 1. Cromolyn sodium

Explanation: ANSWER: (A) Cromolyn sodiumREF: 11th edition of Goodman & Gilmans The Pharmacological Basis of Therapeutics page 463Short-Ac ting B2 Adrenergic Receptor Agonists: Drugs in this class include albuterol, Levalbuterol, the (R)-enantiomer of albuterol, Metaproterenol, Terbutaline, and Pirbuterol. These drugs are used for acute inhalation treatment of bronchospasm. The most effective drugs in relaxing airway smooth muscle and reversing bronchoconstriction are short-acting b2 adrenergic receptor agonists. They are the preferred treatment for rapid symptomatic relief of dyspnea associated with asthmatic bronchoconstriction.Glucocorticoids: Systemic glucocorticoids long have been used to treat severe chronic asthma or severe acute exacerbations of asthma. Systemic glucocorticoids are used for acute asthma exacerbationsCromolyn: The main use of cromolyn and nedocromil is to prevent asthmatic attacks in individuals with mild- to-moderate bronchial asthma. These agents are ineffective in treating ongoing bronchoconstriction. When inhaled several times daily, Cromolyn inhibits both the immediate and the late asthmatic responses to antigenic challenge or to exercise.Ipratropium: In acute bronchoconstriction, the combination of a b2 adrenergic agonist and ipratropium is more effective than either agent alone and more effective than simply giving more b2 adrenergic agonist. Thus, the combination of a selective b2 adrenergic agonist and ipratropium should be considered in acute treatment of severe asthma exacerbations.